Pyridoxine is used in treatment of -
1. Galactosemia
2. Phenylketonuria
3. Propionicacidemia
4. Homocystinuria

Correct answer: 4. Homocystinuria

Explanation: Ans. is 'd' i.e., HomocystinuriaInborn error of metabolism and Treatment1] AlkaptonuriaVitamin C, Folic acid2] HomocystinuriaPyridoxine + Folic acid3] CystinuriaAlkalization of urine + d-Penicillamine, Captopril4] Hartnup diseaseNicotinamide5] Multiple carboxylase deficiencyBiotin6] Methyl malonic academiaVitamin B127] HyperoxaluriaPyridoxine8] TyrosinemiaNTBC, Liver Transplantation